Vitamin A dose in children of 1 -6years of age is -
1. 50000IU
2. 1Lakh IU
3. 2LakhIU
4. 41akhIU

Correct answer: 3. 2LakhIU

Explanation: Ans. is 'c' i.e., 2 Lakh IU o For treatment of vitamin A deficiency, oral vitamin A is given at a dose of 50000 IU, 100000 IU and 200000 IU in children <6 months, 6-12 months and > 1 year, respectively. The same dose is repeated next day and 4 weeks later.